HDL is synthesized and secreted from :
1. Liver
2. Peripheral tissue
3. Adipose tissue
4. Muscle

Correct answer: 1. Liver

Explanation: HDL- HDL is synthesized and secreted from both liver and intestine HDL HDL transport cholesterol from peripheral tissue to the liver this is called reverse cholesterol transport. HDL concentrations are inversely related to the incidence of atherosclerosis HDL have APO A, C, and E HDL have LCAT (Lecithin cholesterol acyltransferase ) which convert cholesterol into cholesterol ester and then it is taken up by HDL LCAT is activated by APOA1 HDL is smallest in size, max density, max phospholipid (lecithin) , minimum triglyceride